Which of the following drug is associated with highest cardiac mortality ?
1. Rofecoxib
2. Nicorandil
3. Losartan
4. Metoprolol

Correct answer: 1. Rofecoxib